Common age group for otosclerosis is
1. 5-10 years
2. 10-20 years
3. 20-30 years
4. 30-45 years

Correct answer: 3. 20-30 years

Explanation: Otosclerosis, more aptly called otospongiosis, is a primary disease of the bony labyrinth. In this, one or more foci of irregularly laid spongy bone replace part of the normally dense enchondral layer of the bony otic capsule.Age of onset. Hearing loss usually starts between 20 and 30 years of age and is rare before 10 and after 40 years.Ref: Hazarika; 3rd ed; Pg 177